Study of finger printing is:
1. DNA finger printing
2. Dactylography
3. Gene analysis
4. Poroscopy

Correct answer: 2. Dactylography

Explanation: B i.e. Dactylography